The culture media for fungus is -
1. Tellurite medium
2. NNN medium
3. Chocolate agar
4. SDA

Correct answer: 4. SDA

Explanation: 1. Sabouraud's dextrose agar media is used for the culture of fungi and yeasts. 2. SDA with chloramphenicol (to prevent bacterial contamination) is used in isolation of all fungus. 3. SDA with chloramphenicol and cycloheximide (to prevent fungal contamination like Aspergillus species and Zygomycetes) is used in isolation of dermatophyte. Potassium tellurite agar (PTA) - used for isolation of Corynebacterium diphtheriae. NNN medium (McNeal, Novy and Nicolle) - used for isolation of Leishmania. Chocolate agar: It is the heated blood agar, blood is added to the molten nutrient agar at 70degC. It is more nutritious than blood agar, and even supports Haemophilus influenzae.